The most common facial abnormality in Gardener's syndrome:
1. Ectodermal dysplasia
2. Odontome
3. Multiple osteomas
4. Dental cysts

Correct answer: 3. Multiple osteomas

Explanation: GARDNER'S SYNDROME (AD) Skeletal abnormalities, the most common of which are osteomas, are an essential component of Gardner syndrome. The osteomas are characterized by slow, continuous growth, and occur most frequently in the mandible, the outer cortex of the skull and the paranasal sinuses. The angle of the mandible is a particularly diagnostic site.